Which among the following is the most common tumour associated with neurofibromatosi(sminna) Child ?
1. Juvenile myelomonocytic leukemia
2. Acute lymphoblastic leukemia
3. Acute monocytic leukemia
4. Acute myeloid leukemia

Correct answer: 1. Juvenile myelomonocytic leukemia

Explanation: Ans. is 'a' i.e., Juvenile myelomonocytic leukemia "Among leukemias, Neurofibromatosis - 1 is associated with nonlymphocytic leukemia particularly JMML and myelodysplastic syndrome". Tumors associated with NF - 1 o Leukemia o Rhabdomyosarcoma o Optic glioma o Brain tumors (Meningiomas, ependymomas, Astrocytomas) o Pheochromocytomas o Neuro-ectodermal malignancies